Pacemaker of respiration
1. Dorsal nuclear group
2. Apneustic centr
3. Pnemotaxic centre
4. Pre Botzingeer complex

Correct answer: 4. Pre Botzingeer complex